Cavernous hemangioma is characterized by:
1. Reticulated popcorn like configuration
2. Well defined nidus
3. Well defined arterial feeder
4. Phlebectasis

Correct answer: 1. Reticulated popcorn like configuration

Explanation: A i.e. Reticulated popcorn like configuration T2 gradient echo MRI is the investigation of choice for identification of cavernous angioma (cavernous hemangioma or cavernoma), which typically demonstrates a mass characterized as popcorn in appearance (mulberry shaped lesion)Q.